Delusion is
1. Perception
2. Thought
3. Insight
4. Depression

Correct answer: 2. Thought

Explanation: (Thought) (60- 61- Neeraj Ahuja 6th)* Delusion is a disorder with disturbed content of thought* Hallucination & Illusion are disorders of perception* Delirium & dementia are disorders of cognition* Insight is disturbed in psychosisDELUSION - False belief based on in correct inference about external reality; not consistent with patient's intelligence and cultural back ground that cannot be corrected by reasoning